Autoimmune destruction of platelet is seen in -
1. SLE
2. Rheumatoid arthritis
3. Reiter disease
4. Polyarteritis nodosa

Correct answer: 1. SLE